Concentration of Na (mEq/I) in normal saline is?
1. 77
2. 109
3. 130
4. 154

Correct answer: 4. 154

Explanation: Ans. (d) 154Ref: Essentials of General Surgery edited by Richard M. Belly Merril T. Dayton p-51 4thed